Opioid agonist are A/E -
1. Morphine
2. Codeine
3. Ketamine
4. Methadone

Correct answer: 3. Ketamine

Explanation: Ans. is 'c' i.e., Ketamine